The nerve supply of nail bed of index finger is
1. Superficial br of radial nerve
2. Deep br of radial nerve
3. Median nerve
4. Ulnar nerve

Correct answer: 3. Median nerve

Explanation: Palmar branches of the median nerve supplies the nail bed of lateral 3 and a half digits Reference: BD Chaurasia 7th edition diagram page no:182.